Which of the following vascular lesions can be seen commonly in Turner syndrome ?
1. Nevus flammeus
2. Cavernous lymphangioma
3. Pyogenic granuloma
4. Capillary hemangioma

Correct answer: 2. Cavernous lymphangioma

Explanation: Cavernous Lymphangioma: Large,diffuse, poorly defined, fluctuant, soft tissue mass . Found in neck/axilla of children, retroperitoneum (rare) May cause gross deformities of neck, or may fill the axilla. Cavernous lymphangioma of neck can be commonly found in in Turner's syndrome Features : Lesions are composed of dilated lymphatic spaces lined by endothelial cells and separated by intervening connective tissue stroma containing lymphoid aggregates. the tumor margins are indistinct and non-capsulated.